Which of the following is a benzodiazepene antagonist
1. Flumazenil
2. Butorphanol
3. Naltrexone
4. Pralidoxime

Correct answer: 1. Flumazenil

Explanation: Ans. is 'a' i.e. Flumazenil Benzodiazepine acts by enhancing presynaptic/postsynaptic inhibition through a specific BZD receptor which is an integral part of the GABA receptor-Cl- channel complex.Flumazenil is a BZD analogue which has little intrinsic activity, but it competes with BZD agonists as well as inverse agonists for the BZD receptor and reverses their depressant or stimulant effects respectively.Flumazenil is the drug of choice for benzodiazepine overdose.About other options : Naltrexone - Opioid antagonist Butorphanol - Agonist/antagonist at opioid receptors Pralidoxime - Cholinesterase reactivator